Height is not included in which index of obesity:
1. Quetlet index
2. Brocas index
3. Pond eral index
4. Corpulence index

Correct answer: 4. Corpulence index

Explanation: Corpulence index